A Lecturer is demonstrating a fibrous band that runs on the visceral surface of the liver. It is attached on one end to the inferior vena cava and on the other end to the left branch of the portal vein. In the Adult the structure corresponds to:
1. Ductus venosus
2. Ligamentum teres
3. Ligamentum venosum
4. Umbilical arteries

Correct answer: 3. Ligamentum venosum

Explanation: Ligamentum Venosum